Following statement are true about tremors except:
1. Tremor consist of alternate contraction of agonist and antagonist muscle in oscillating rythmic manner
2. PD is characterised by resting tremor
3. Essential tremor is an uncommon movement disorder affecting 5%of population
4. Normal individuals can have physiologic tremor that manifest as mild high frequency, postural or action tremors.

Correct answer: 3. Essential tremor is an uncommon movement disorder affecting 5%of population

Explanation: Option 1 2 and 4 are true Essential tremor is most common movement disorder. Tremors may be most prominent: At rest-Resting tremor On assuming a posture- postural tremor On actively reaching for a target- Kinetic tremor On carrying out movement- Action tremor Physiologic tremor- Normal individual and they affect upper extremities. Enhanced physiologic tremor - anxiety, fatigue, metabolic disturbance, drugs, toxins( alcohol, smoking and caffiene).